Minimum pneumothorax is best seen in which of the following view (chest x-ray)?
1. Lordotic view
2. Right lateral view
3. Left lateral view
4. Chest x-ray in complete expiration

Correct answer: 4. Chest x-ray in complete expiration

Explanation: A pneumothorax is, when looked for, usually easily appreciated. Typically they demonstrate: visible visceral pleural edge is seen as a very thin, sharp white line. no lung markings are seen peripheral to this line.